A drug that binds to and inhibits Gp IIb/ IIIa glycoprotein and is responsible for platelet antiaggregatory effects is :
1. Clopidogrel
2. Enoxaparin
3. Fondaparinux
4. Tirofiban

Correct answer: 4. Tirofiban